Most commonly injured nerve in Supracondylar fracture of humerus is ?
1. Median nerve
2. Ulnar nerve
3. Radial nerve
4. Anterior Interooseus nerve

Correct answer: 4. Anterior Interooseus nerve

Explanation: Nerve injury in Supracondylar fracture of humerus is anterior interosseous nerve Neurological injury is associated with 7 % to 15 % cases with the median nerve, especially anterior Interooseus branch being with the most common. In posterolateral displacement the median nerve is most commonly involved . In Flexion type of fracture, ulnar nerve is most commonly involved. Ref maheshwari 9th ed